Serous or serosanguinous nipple discharge may be suggestive of all of the following except
1. Mastitis
2. Carcinoma
3. Duct ectasia
4. Intraductal papilloma

Correct answer: 1. Mastitis

Explanation: Mastitis usually associated with purulent nipple discharge